True statement about Vi polysaccharide vaccine is -
1. Has many serious systematic adverse reactions
2. Has many serious local side effects
3. Has many contraindications
4. Can be administered with yellow fever and hepatitis A vaccine

Correct answer: 4. Can be administered with yellow fever and hepatitis A vaccine

Explanation: Vi polysaccharide vaccine:- Composed of purified Vi capsular polysaccharide from Ty2 S. Administration- subcutaneous/ intramuscularly. Age group more than 2 years. Only one dose required. Confers protection 7 days after injection. Efficacy-85% Duration of immunity-3yrs. To maintain protection,revaccination recommended every 3 years. Vi polysaccharide vaccine can be administered with other vaccines relevant for international travellers, such as yellow fever and hepatitis A. No serious adverse events and minimum local side effects. No contradiction to use of this vaccine other than previous hypersensitivity reaction to vaccine components. Safe in HIV infected individuals . {Reference: park's textbook of preventive and social medicine, 23rd edition, pg no.237}